Under normal condition amount of fluoride secreted from the gland in the mouth:
1. 0.007-0.05ppm
2. 0.005-0.007ppm
3. 0.07-0.05ppm
4. None.

Correct answer: 1. 0.007-0.05ppm